Transfer of drug resistance in Staphylococcus is by
1. Transduction
2. Transformation
3. Conjugation
4. Transfection

Correct answer: 1. Transduction

Explanation: Beta-lactamase(penicillinase) inactivates penicillin by splitting beta-lactam ring. Penicillinase is an inducible enzyme and its production is usually controlled by plasmids which are transmitted by transduction or conjugation.